Posterior subcapsular cataract is seen in
1. Fuchs heterochromic cyclitis
2. Neurofibromatosis Type 2
3. Steroid therapy
4. All the above

Correct answer: 4. All the above

Explanation: (D) All the above # Fuchs heterochromic iridocyclitis consists of a chronic, low-grade iritis with posterior subcapsular cataract and secondary glaucoma. It is rare, unilateral in 90% of cases, occurs between the third and fourth decades of life and is associated with a change in colour of the iris.> Neurofibromatosis Type 2 is associated with the gene NF2 on chromosome 22 (22q).> Bilateral schwannomas of the vestibular nerve develop in over 90% of cases. A juvenile posterior subcapsular cataract is common.> Peripheral neurofibromas and cafe au lait spots are rare. Steroid medications can be used with a physician's guidance to treat patients with a variety of conditions such as people with asthma or allergies or those undergoing organ transplants. Several forms of steroids--oral, inhaled or eye drops--have been linked to higher risk of development of subcapsular cataracts.